Which of the following disease is NOT caused by exposure to cold?
1. Trench fever
2. Trench feet
3. Chilblains
4. Frost bite

Correct answer: 1. Trench fever

Explanation: Exposure to cold causes frost bite, chilblains and trench feet. Trench fever (also known as "Five day fever", "Quintan fever") is a disease transmitted by body lice. Ref: Park 21st edition, page: 746.